ECT causes -
1. Antegrade amnesia
2. Retrograde amnesia
3. Both
4. None

Correct answer: 3. Both

Explanation: Most common complication of ECT is amnesia. Both retrograde and antegrade amnesia occurs. Retrograde amnesia is more common than antegrade.